Whitfield's ointment consists of ?
1. 3% salicylic acid + 6% benzoic acid
2. 3% benzoic acid + 6% salicylic acid
3. 2% salicylic acid + 4% benzoic acid
4. 2% benzoic acid + 4% salicylic acid

Correct answer: 1. 3% salicylic acid + 6% benzoic acid

Explanation: Ans. is 'a' i.e., 3% salicylic acid + 6% benzoic acid Whitfield's Ointment Whitfield's ointment is salicylic acid and benzoic acid in a suitable base, such as lanolin or vaseline. The original ointment contains 3% salicylic acid and 6% benzoic acid, but other ratios are also used. It is used for the treatment of fungal infections, such as athlete's foot. Its effectiveness is unclear. It can have a slight burning effect that goes away after a few minutes. It is named for Arthur Whitfield (1868-1947), a British dermatologist